All are features of early retinal detachment except –
1. Retro–orbital pain
2. Photopsia
3. Floaters
4. Darkened peripheral field of vision

Correct answer: 1. Retro–orbital pain

Explanation: Retinal detachment is a painless condition (no retroorbital pain) → Painless sudden loss of vision.
Other three symptoms occur in retinal detachment.